Hepatic stage of erythropoiesis is during:
1. First trimester of pregnancy
2. Second trimester of pregnancy
3. Perinatal period
4. Puberty

Correct answer: 2. Second trimester of pregnancy

Explanation: SITE OF ERYTHROPOIESIS IN FETAL LIFE
 
In fetal life, the erythropoiesis occurs in three stages:
 

Mesoblastic stage
During the first two months of intrauterine life, the RBCs are produced from mesenchyme of yolk sac.
Hepatic stage
From third month of intrauterine life, liver is the main organ that produces RBCs. Spleen and lymphoid organs are also involved in erythropoiesis.
Myeloid stage
During the last three months of intrauterine life, the RBCs are produced from red bone marrow and liver.

Areas of the Body That Produce Red Blood Cells:
In the early weeks of embryonic life, primitive, nucleated RBCs are produced in the yolk sac. During the middle trimester of gestation, the liver is the main organ for production of RBCs, but reasonable numbers are also produced in the spleen and lymph nodes. Then, during the last month or so of gestation and after birth, RBCs are produced exclusively in the bone marrow.
Reference: GUYTON AND HALL TEXTBOOK OF MEDICAL PHYSIOLOGY, THIRTEENTH EDITION(INTERNATIONAL EDITION ) page no 445,446